Which of the following is not a group A bioterrorism agent
1. Small pox
2. Hemorrhagic fever
3. Salmonella
4. Botulism

Correct answer: 3. Salmonella

Explanation: Category A Bioterrorism agents: Tularemia- Francisella Tularemia Anthrax- bacillus anthracis. Smallpox virus Botulism - Clostridium botulinum. Bubonic plague- Yersinia pestis. Viral hemorrhagic fever - filoviridea (Ebola virus and Marburg virus) Ref: Baveja textbook of microbiology; 4th edition